A person had injury to right upper limb he is not able to extend fingers but able to extend wrist and elbow. Nerve injured is ?
1. Radial
2. Median
3. Ulnar
4. Posterior interosseus

Correct answer: 4. Posterior interosseus

Explanation: Ans. is 'd' i.e., Posterior interosseusIn posterior interosseus nerve injury, wrist extension is preserved due to spared ECRL, hence there is no wrist drop. There is loss of extension of metacarpophalangeal joints, hence thumb and finger drop occurs. o In radial nerve injury, there is wrist drop.Clinical features of radial nerve palsy Clinical features depend upon the site of lesion.1. If lesion is highWrist drop, thumb drop and finger drop.Inability to extend elbow, wrist, thumb & fingers (MP joint)Patient can extend interphalangeal joints due to action of lumbricals and interossei.Sensory loss over posterior surface of arm & forearm and lower lateral half of forearm.2. If lesion is lowType IWrist drop, thumb drop and finger drop.Elbow extension is preserved.Sensory loss over the dorsum of first web space.Type HThumb drop and finger dropElbow and wrist extension is preservedSensory loss over the dorsum of first web spaceClinical features of posterior interosseus nerveIt is prone to be injured in injury & operations of radial head- neck .There is no sensory deficit as it is a pure motor nerve.Wrist extension is preserved (i.e. no wrist drop) due to spared extensor carpi radialis longus . Presents with loss of extension of metacarpophalangeal (MP) joints i.e., thumb & finger drop.